An otherwise healthy person who wears contact lenses develops a small ulceration of eye. What is the cause –
1. Acanthamoeba
2. Cytomegalovirus
3. Toxocarna
4. Toxoplasma

Correct answer: 1. Acanthamoeba